Bracing of RPD framework can be best obtained by:
1. Rigid reciprocal arm of the clasp
2. Rigid reciprocal arm and body of clasp
3. Rigid reciprocal arm and flexible part of the retentive arm of the clasp
4. None of the above

Correct answer: 2. Rigid reciprocal arm and body of clasp